Kwashirokar in Ghanian Ga language means?
1. Condition seen in 2nd child
2. Condition seen in the displaced child
3. Condition seen in cousin
4. Condition seen in the step child

Correct answer: 2. Condition seen in the displaced child

Explanation: Ans. is 'b' i.e., Condition seen in the displaced child The name kwashiorkor, comes from the Ga language of Accra, Ghana, and is used to describe the disease of the displaced baby when the next one is born.